The most significant adverse effect of ACE inhibition is :
1. Hypotension
2. Hypertension
3. Hypocalcemia
4. Hypercalcemia

Correct answer: 1. Hypotension